Which of the following is a long acting bronchodilator?
1. Salbutamol
2. Terbutaline
3. Adrenaline
4. Formoterol

Correct answer: 4. Formoterol

Explanation: Beta-2 agonists are well known bronchodilators. This includes:#Salbutamol, Terbutaline, Formoterol, Salmeterol, Indacaterol, Albuterol etc.Among these agents, formoterol, salmeterol, Indacaterol are longer acting analogue and are preferred in prophylactic therapy of bronchial asthma and COPD.